Gene encoding which protein is defective in Dubin Johnson syndrome?
1. JAG1
2. MRP2
3. ATP7A
4. ATP 7B

Correct answer: 2. MRP2

Explanation: B. MRP2(Ref: Nelson's 20/e p 1931, 1938)In Dubin Johnson syndrome, ABCC2 gene is affected, that codes for MRP2 protein. Absent function of multiple drug-resistant protein 2 (MRP2), an adenosine triphosphate-dependent canalicular transporter, is the responsible defect, that leads to defective conjugated bilirubin excretion.